"8 stages of psychosocial development" were given by
1. Sigmond Freud
2. Carl Jung
3. Erik erikson
4. Roger Sperry

Correct answer: 3. Erik erikson

Explanation: Erik erikson gave 8 stages of psychosocial / personality development where an individual experience psychological conflict in each stage.
Roger Sperry: Gave concept of "Split - brain".